Indicated major connector, where the patient has an extreme lingual inclination of premolars and anterior teeth, inoperable large tori:
1. Lingual bar.
2. Labial bar.
3. Lingual plate.
4. Double lingual bar.

Correct answer: 2. Labial bar.